Colonies of M. tuberculosis appear in about
1. 2 days
2. 2-8 weeks
3. 3-4 months
4. 7 days

Correct answer: 2. 2-8 weeks

Explanation: → Generation time : 14-15 hours.
→ Colonies appear in about 2 weeks (may take upto 8 weeks).
→ Grows luxuriantly in culture (Eugonic) and addition of 0.5% glycerol improves its growth but it has no effect on M.Bovis, which is dysgonic (Grows sparsely).
→ Solid medium ⇒ Most widely employed for routine culture is Lowenstein-Jensen (LJ) medium without starch.